Magnesium sulphate is contraindicated in:
1. Placenta previa
2. Preeclampsia
3. Epilepsy
4. Myasthenia gravis

Correct answer: 4. Myasthenia gravis

Explanation: Ans: D (Myasthenia gravis) Ref: Out to: Textbook of Obstetrics 7th ed pg 508,509,234Explanation:MAGNESIUM SULPHATEActs by competitive inhibition of calcium ion either at motor end plate.At cell membrane: It decreases calcium influx, decreases Ach release and its sensitivity at motor end plate.It acts as a direct depressant on uterine muscle causes vasodilation and increases cerebral, uterine and renal blood flow.It decreases intracranial edema.Pritchard regimen--4gm 20% soln given slow TV. over 15 to 20 min and 4 gm i.m. in each buttock {loading dose). Further 4gm given i.m. in alternate buttocks every 4 hours till 24 hoursTherapeutic level of mgso4 4 to 7 meq/1 Side effectFlushingPerspirationHeadacheMuscle weaknessPulmonary edema.In neonate it causes lethargy, hypotonia and respiratory depression.Contraindications--myasthenia gravis, impaired renal function.Antidote--Inj. calcium gluconate 109T 10ml I.V.